All are symptoms of morphine withdrawal except-
1. Mydriasis
2. Yawning
3. Lacrimation
4. Fall in BP

Correct answer: 4. Fall in BP

Explanation: Ans. is 'd' i.e., Fall in BP Morphine withdrawalo Manifestations of morphine withdrawl#Lacrimation# Anxiety & fear# Mydriasis# Diarrhea# Palpitation#Sweating# Restlessness# Insomnia# Dehydration# Rapid weight loss#Yawning# Gooseflash (Piloerection)# Abdominal colic# Rise in BP o Delirium and convulsions are not a characteristic features (contrast barbiturates) and are seen only occasionally.o Treatment consists of withdrawl of morphine and substitution with oral methadone followed by gradual withdrawl of methodone.o Recently the NMDA antagonists and nitric oxide synthatase inhibitors have been found to block morphine tolerance and dependance.